Which of the following statements about Fluconazole is most accurate
1. It is it effective in the treatment of Aspergillosis
2. It does not penetrate the blood brain barrier
3. It's oral bioavailability is less than that of ketoconazole
4. It inhibits demethylation of lanosterol

Correct answer: 4. It inhibits demethylation of lanosterol

Explanation: Ref-KDT 6/e p761 Azoles act by inhibiting the enzyme lanosterol-14-alpha-demethvlase.resulting in reduced ergosterol synthesis. It has very good CNS penetration and oral bioavailability. It is not very effective against aspergillosis (voriconazole is thedrug of choice).